Bulk of lamina propria of the gingiva is made of
collagen type
1. I
2. II
3. III
4. IV

Correct answer: 1. I